A primigravida was given dietary advice in the 2nd trimester. What should be the extra calorie intake in pregnancy?
1. 200 kcal
2. 300 kcal
3. 500 kcal
4. No extra calorie

Correct answer: 2. 300 kcal

Explanation: ANS. B* In pregnancy: Add 350 kcal of energy and 23 g protein* For lactation: Add 600 kcal of energy (up to 6 months) and 520 kCal (after 6 months) and 19 g protein.Normal changes in pregnancyHematological changesCardiovascular changesPlasma volume increases by 40%Cardiac output increases by 40%Red cell volume increases by 20%Pulse rate increases by 10% or 15 bpmPhysiological dilution in pregnancyStroke volume increases by 10%Hemoglobin and hematocrit decreasePeripheral vascular resistance fallsWBC count increasesMean arterial pressure and DBP fallsPlatelets normal or slight decrease by 15%Colloid oncotic pressure fallsTotal proteins increase Plasma protein concentration decreases Albumin decreases Globulins increase slightly Albumin: globulin decrease 1:1 Fibrinogen increases by 50% Increase in factor VIII, IX and XRenal changesDecrease in anticoagulantsRenal blood flow increases by 80%Inhibition of fibrinolytic activityGFR increases by 50%ESR increases four timesCreatinine and other clearances increasedSerum iron decreasesSerum creatinine, urea and urate decreasedTotal iron binding capacity increasesGlycosuria may be normalAbbreviations: WBC, white blood cell; GFR, glomerular filtration rate; ESR, erythrocyte sedimentation rate; DBP, diastolic blood pressure# Parameters which does not change in pregnancy?1. pH2. Vital capacity3. FEV14. Inspiratory reserve volume5. Pulmonary capillary wedge pressure6. Respiratory rate.